All of the following are typical auscultatory findings in
mitral stenosis except:
1. A loud first sound
2. Opening snap
3. Mid-diastolic murmur with presystolic accentuation
4. Reversed splitting of the second heart sound

Correct answer: 4. Reversed splitting of the second heart sound